"Atrial" sound is:
1. S1
2. S2
3. S3
4. S4

Correct answer: 4. S4

Explanation: Fourth heart sound is caused during the last ventricular filling, which is caused by the atrial systole and turbulence blood as it fills into ventricles. Hence, it is referred to as "atrial" sound.